Which of the following type of GIC is used as a base?
1. Type I
2. Type IIa
3. Type IIb
4. Type III

Correct answer: 4. Type III

Explanation: Type I: Luting crowns, bridges and orthodontic brackets.
Type IIa: Esthetic restorative cements.
Type IIb: Reinforced restorative cements.
Type III: Lining cements, base.
Ref: Phillip’s Science of Dental Materials ed 12 pg 320